Whic one of the following is the most common cause of abdominal mass in neonates -
1. Neuroblastoma
2. Wilm's tumour
3. Distended bladder
4. Multicystic dysplastic kidneys

Correct answer: 4. Multicystic dysplastic kidneys

Explanation: Ans. is 'd' i.e., Multicystic dysplastic Kidney's "Multicystic dysplastic kidney is the most common cause of an abdominal mass in the new born" - Nelson o Most common abdominal mass is a neonate --> Multicystic renal dysplasia. o Most common abdominal mass in 1 months to 3 years ---> Wilms tumor or multicystic renal dysplasia. o Most common renal problem in 3 to 6 years o Most common renal problem in 6 to 14 years Minimal change disease causing nephrotic syndrome. Acute post-streptococcal GN.